Advantage of laryngeal mask airway include all EXCEPT
1. Easy to insert
2. Prevents aspiration
3. Doesn't require muscle relaxant
4. Can be used with cervical injuries

Correct answer: 2. Prevents aspiration

Explanation: (B) Prevents aspirationAdvantagesDisadvantagesIt can be used with all size of adult ETTNot suitable for Naso-tracheal intubationUseful to intubate patients with difficult airways in a reasonable timeIn routine intubation this scope has demonstrated no advantages over the conventional laryngoscopes# Advantages: Lower incidence of sore throat> Requires less anaesthetic dept than tracheal tube or supraglottic device.> No need of muscle relaxants> The face mask may be the most cost efficient method for short cases.> Laryngeal mask is used for maintenance of airway in patients in whom tracheal intubation is difficult or impossible.> It is a cuffed mask designed to fit closely over the laryngeal aperture. It forms a seal around the larynx.> Laryngeal mask airway is also called as Bane Mask (after the name of its inventor).> It provides relatively safe anaesthesia for adults and children in place of tracheal intubation.> It should be remembered that, it is only an adjunct to airway management but not a substitute for tracheal intubation. Moreover it does not protect the airway from pulmonary aspiration.